Premature rupture of membrane is rupture :
1. At less than 32 weeks
2. Before onset of labour
3. Before 2nd stage of labour
4. All of the above

Correct answer: 2. Before onset of labour

Explanation: Before onset of labour